Alcohol intake during pregnancy causes, all, except?
1. Brachycephaly
2. Microcephaly
3. Hyperkinetic movements
4. Congenital anomalies

Correct answer: 1. Brachycephaly

Explanation: Ans. is 'a' i.e., Brachycephaly Fetal alcohol syndrome o Chronic maternal alcohol abuse during pregnancy is associated with teratogenic effects, and alcohol appears to be a leading cause of intellectual disability and congenital malformation.